True about quinsy is -a) Penicillin is used in treatmentb) Abscess is located in capsulec) Commonly occurs bilaterallyd) Immediate tonsillectomy should be donee) Patient presents with toxic features and drooling
1. a
2. b
3. ae
4. ad

Correct answer: 3. ae

Explanation: Quinsy is collection of pus outside the capsule (not in capsule) in peritonsillar area.
It is usually unilateral.
Patient presents with toxic symptoms due to septicemia as well as local symptoms (e.g. dribbling of saliva from mouth).
Antibiotics : High dose penicillin. (iv benzipenicillin) is the DOC. In patients allergic to penicillin erythromycin is the DOC.